All of the following are features of Crossover studies except-
1. All patients receive the new therapy
2. Not Suitable if drug of interest cures the disease
3. Not suitable if drug is effective only during a certain stage of disease
4. Not suitable if disease does not changes radically during the study

Correct answer: 4. Not suitable if disease does not changes radically during the study

Explanation: With crossover type of study design all patients assured that sometimes during the course of investigation they will receive new therapy. This method of study is not suitable if the drug of interest cures the disease, if the drug is effective only during a certain stage of the disease or if the disease changes radically during the period of time required for the study. (refer pgno:83 park 23rd edition )